Pharmacologic agent used for pulpotomy are all except:
1. Formocrsol.
2. Laser.
3. Collagen
4. Ferric sulphate.

Correct answer: 2. Laser.

Explanation: Pharnacologic agents which can be used for pulpotomy in primary teeth are:

Formocresol
Glutaraldehyde
Calcium hy roxi
Collagen
Ferric sulfatee 

Non-pharmacologic  agents

Electrosurgery
Laser therapy.